Bacterial Index deals with
1. Tuberculosis
2. Leprosy
3. Syphilis
4. Gonorrhea

Correct answer: 2. Leprosy

Explanation: In leprosy, Bacterial Index is the only objective way of monitoring the benefit of treatment. 0 No bacilli in any of 100 oil immersion fields1+ 1-10 in 1002+ 1-10 in 103+ 1-10 in each field4+ 10-1005+ 100-10006+ more than 1000It is calculated for each site examined an average is taken.Park 23e pg: 314